True about acute pancreatitis All/Except -
1. Gallstones & alcohol are common
2. Sr. amylase levels increase after 72 hrs. of attack
3. Can cause secondary pleural effusion
4. Can present with shock

Correct answer: 2. Sr. amylase levels increase after 72 hrs. of attack

Explanation: Serum amylase concentration increases almost immediately with the onset of disease and peaks within several hours. It remains elevated for 48 to 72 hrs after which it starts decreasing and return to normal levels within 3 to 5 days. Pleural effusion can be seen in about 10% of cases. It is usually left sided. Shock is not unusual and may result from hypovolemia sec. to exudation of blood & plasma proteins into the retroperitoneal space. increased formation of kinin peptides which cause vasodilatation and increased vascular permeability. systemic effects of proteolytic and lipolytic enzymes released into the circulation. Ref : Schwartz 9/e p1181